Metabolic water is ?
1. Ingested water
2. Water infused iv
3. Water produced by metabolism
4. None

Correct answer: 3. Water produced by metabolism

Explanation: Ans. is 'c' i.e., Water produced by metabolism A small amount of water is produced during metabolism of food called metabolic water. It is approximately 150-350 ml/day.